Which one of the following drugs should be avoided in Wolff-Parkinson-White (WPW) Syndrome ?
1. Digoxin
2. Adenosine
3. Procainamide
4. Amiodarone

Correct answer: 1. Digoxin